A small ca+2 binding protein that modifies the activity of many enzymes and other proteins in response to changes of ca2+ concentration, is known as
1. Cycline
2. Calmodulin
3. Collagen
4. Kinesin

Correct answer: 2. Calmodulin

Explanation: Ans. (b) Calmodulin(Ref: Ganong, 25th ed/p.55)Once inside the cell, Calcium binds with calmodulin.This calcium - calmodulin complex activates an enzyme called calmodulin dependent protein kinases that phosphorylates many downstream effector proteins